A dendritic ulcer is caused by
1. Mycetoma
2. Herpes simplex
3. Staphylococcus
4. Pneumococcus

Correct answer: 2. Herpes simplex

Explanation: B i.e. Herpes simplex Dendritic & geographical corneal ulcers Q are seen in herpes simplex ocular disease. Dendritic ulcers (branching ulcer with knobbed ends), resembles no other condition, and is pathognomic of herpes simplex ocular infectionQ. The use of steroids in dendritic ulcer hastens the formation of geographical ulcer so it is contraindicatedQ. Early lesions of acanthameba keratitis appears like dendritic ulcers (which is usually a characteristic feature of herpes simplex keratitis), hence it is called pseudo-dendritic keratitis